Ability to form a concept and generalize is known as:
1. Concrete thinking
2. Abstract thinking
3. Intellectual thinking
4. Delusional Thinking

Correct answer: 2. Abstract thinking

Explanation: Abstract thinking is the ability to make concepts (i.e. ability to grasp essential of whole) and to generalize. Concrete thinking - Literal thinking (does not have deep thinking) Intellectual thinking- Use of excess intellect and scientific knowledge in thinking process. Delusional thinking- False , hypothetical ,firm thoughts contrary to reality.